In testicular torsion, surgery within how much time can save viability of testis:
1. 6 hours
2. 12 hours
3. 24 hours
4. 1 week

Correct answer: 1. 6 hours

Explanation: Ans. (a) 6 hoursRef: Bailey 26th 1379* Testicular salvage rate of 100 % if the testis is untwisted within 6 hrs of torsion as compared to 20 % if surgery is delayed for 24 hrs